Long acting calcium channel act in which part of action potential?
1. 0
2. 1
3. 2
4. 3

Correct answer: 3. 2

Explanation: Phases Characteristics 0 (depolarization) Opening of fast Na channels. 1 (initial repolarization) Closure of fast Na channels & K+ efflux through open K+ channels. 2 (plateau) L - type slow Ca++ channels open & fast K+ channels close. 3 (rapid repolarization) Ca++ channels close & slow K+ channel open. 4 (resting membrane potential) Average around - 90 mv.